Not true regarding lacrimal gland :-
1. Orbital part is larger than palpebral part
2. Inferior surface of orbital part lies on Levator muscle
3. 1-2 ducts from orbital part open into superior fornix
4. Glands of Krause are accessory lacrimal glands

Correct answer: 3. 1-2 ducts from orbital part open into superior fornix

Explanation: Lacrimal Glands Main & Accessory Main Lacrimal Gland- Consists of an ORBITAL & PALPEBRAL Part Orbital part is larger than palpebral part Superior part is in touch with the bone & Inferior surface of orbital part lies on Levator muscle 10-12 ducts from orbital part open into superior fornix. 1-2 Ducts from the palpebral part open in the lateral part of inferior fornix. Glands of Krause & Glands of wolfring are accessory lacrimal glands